A 50-year-old male patient gives history of STD acquired 20 years back, now complaints of headache, seizures, confusion and numbness in extremities. Which of the following will be true about the pupillary response of the above patient?
1. Light reflex and accomodation reflex absent
2. Light reflex and accomodation reflex present
3. Light reflex absent and accommodation reflex present
4. Light reflex present and accommodation reflex absent

Correct answer: 3. Light reflex absent and accommodation reflex present

Explanation: Ans. (c) Light reflex absent and accommodation reflex presentRef: Kanski 7/e, p. 815STD with neurpsychiatric symptoms hints towards patient having Neurosyphilis.Argyll Robertson pupil is seen in Neurosyphilis, which presents withIrregular, small pupil in dim lightIn bright light, neither pupil constricts (Light reflex absent)On accommodation both pupil constrict (Accomodation reflex absent)